A young boy had a flea bite while working in a wheat grain godown. After 5 days he developed fever and had axillary lymphadenopathy. A smear was sent to the laboratory to perform a specific staining. Which one of the following staining method would help in the identification of the suspected pathogen:
1. Albert staining
2. Zeihl Neelson staining
3. Mc Fadyean staining
4. Wayson staining

Correct answer: 4. Wayson staining

Explanation: The most likely disease to be caused by the flea bite in a young boy is PLAGUE caused by YERSINIA PESTIS and smear is stained with WAYSON stain. Albert staining:- staining the volutin granules found in Corynebacterium diphtheriae Zeihl Neelson staining:-for Mycobacterium Mc Fadyean staining:-M'Fadyean Stain(Polychrome Methylene blue) is used for capsule staining of Bacillus anthracis.